Phlyctenular conjunctivitis is associated with -
1. Tuberculosis
2. Syphilis
3. Stevens Johnson syndrome
4. Leprosy

Correct answer: 1. Tuberculosis

Explanation: Causative allergens 1. Tuberculous proteins were considered, previously, as the most common cause. 2. Staphylococcus proteins are now thought to account for most of the cases. 3. Other allergens may be proteins of Moraxella Axenfeld bacillius and certain parasites (worm infestation). ref: A K KHURANA OPHTALMOLOGY,E4, Page-77